All are true about Mooren's ulcer except
1. It is superficial ulcer
2. It spreads circumferentially
3. It is caused by infection
4. Whitish overhanging margins seen

Correct answer: 3. It is caused by infection

Explanation: Etiology of Mooren's ulcer is autoimmune not infections.